Best prognostic factor for head injury is:
1. Glassgow coma scale
2. Age
3. Mode of injury
4. CT findings

Correct answer: 1. Glassgow coma scale

Explanation: Ans is 'a' ie. Glasgow coma scale Repeat from All India 07Harrison writes- " In severe head injury, eye opening, the best motor response of the limbs, and verbal output have been found to be roughly predictive of outcome; these are summarized using the ' Glasgow coma scale "Glasgow coma scale is used to determine the conscious level of the patientRanges from 3 to 15.A score of 7 or less is classed as comaA score of 9 or more excludes coma